Wernicke's encephalopathy, during refeeding syndrome, can be precipitated in deficiency of which of the following vitamin:
1. Riboflavin
2. Pyridoxine
3. Thiamin
4. Vitamin C

Correct answer: 3. Thiamin

Explanation: Ans. C: Thiamin In patients who are thiamin deficient, Wernicke's encephalopathy can be precipitated by refeeding with carbohydrates This is prevented by administering thiamin before starting nutritional support